Under National Programme for Prevention of Nutritional Blindness, a child in the age group of 6–11 months is given a mega dose of vitamin A equal to –
1. 50,0001U
2. 1 Lakh IU
3. 1.5 Lakh IU
4. 2 Lakh IU

Correct answer: 2. 1 Lakh IU

Explanation: Vitamin A solution for the National programme is supplied as a syrup with a conc. of 1 lakh IU/ml.